The most important cells in type I hypersensitivity -
1. Macrophages
2. Mast cells
3. Neutrophils
4. Lymphocytes

Correct answer: 2. Mast cells

Explanation: Type I hypersensitivity reaction is IgE dependent. Cytotoxic IgE antibodies are fixed on the surface of tissue cells ( mast cells and basophils) in sensitized individuals. The antigen combines with the cell fixed antibody, leading to release of a phpharmacologicallyctive substance that produces the clinical reaction . Reference : Anathanarayan & paniker's 9th edition, pg: 162